Which of the following infestation leads to malabsorption-
1. Giardia lamblia
2. Ascaris lumbricoides
3. Necater Americana
4. Ancylostoma duodenale

Correct answer: 1. Giardia lamblia

Explanation: G.lamblia is present within the glandular crypts of duodenal jejunal mucosa and doesnot invade the tissues.The parasite attaches itself to the epithelial surface of duodenum and jejunum by means of sucking disc.It may cause a disturbance of intestinal function,leading to malabsorption of fat (refer pgno:32 baveja 3rd edition)